Which of the following cranial structures are insensitive to pain?
1. Falx cerebri
2. Choroid Plexus
3. Middle meningeal Artery
4. Dural sheath surrounding vascular sinuses

Correct answer: 2. Choroid Plexus

Explanation: Among the given options choroid plexus is the only pain insensitive structures, while rest are pain sensitive ones.